Glomus jugulare commonly arises from -
1. Hypo tympanum
2. Mesotympanum
3. Epitympanum
4. Prussaks space

Correct answer: 1. Hypo tympanum

Explanation: Ans. is 'a' i.e., Hypotympanumo There are two types of glomus tumors:-Glomusjugulare# These glomus tumors arise from the dome of the internal jugular vein in the hypotympanum and jugular foramen. In jugular foramen they can invade IX to XII cranial nerves.Glomus tvmpanicum# They arise from the promontory of the middle ear along the course of the tympanic branch of the IXth cranial nerve.